Pars Flaccida of the tympanic membrane is also called:
1. Reissner's membrane
2. Shrapnell's membrane
3. Basilar membrane
4. Secondary tympanic membrane

Correct answer: 2. Shrapnell's membrane

Explanation: (b) Shrapnell's membrane(Ref. Shambaugh, 6th ed., page 380)Reissner's membrane separates Scala media from Scala vestibuli in the inner ear.Basilar membrane separates Scala media or cochlear duct from Scala tympani in the inner ear. The organ of Corti rests on the basilar membrane.Secondary TM overlies the round window in the middle ear.